Smoking is a risk factor for which of the following conditions
1. Periductal mastitis
2. CA Breast
3. Mondor's Disease
4. Fibroadenoma

Correct answer: 1. Periductal mastitis

Explanation: Answer- A. Periductal mastitisZuska's disease, also called recurrentperiductalmastitis, is a condition ofrecurrent retroareolar infections and abscesses.Smoking has been implicated as a risk factor for this condition.This syndrome is managed symptomatically by antibiotics coupled with incision and drainage as necessary